Ovarian Hyperstimulation syndrome can be seen in patients treated with -
1. FSH/LH therapy
2. Clomiphene citrate
3. GnRH therapy
4. All the above

Correct answer: 4. All the above

Explanation: Ans is 'd' i.e., All the above Ovarian Hvperstimulation Syndromeo Ovarian hyperstimulation syndrome (OHSS) is a complication of assisted reproductive technologies and an iatrogenic complication occurring in the luteal phase or early pregnancy,o It is a potentially life-threatening condition, occurring in 1-10%.o It results from induction of ovulation in infertility cases.o It is seen in patients treated with FSH/LH, Clomiphene citrate and GnRH therapy. It is more common in FSH/ LH therapy than clomiphene and pulsatile GnRH drugso Its incidence is higher in PCOS and anovulatory infertility as compared to infertility caused by amenorrhoea.